Partial prolapse in nulliparous women is treated by:
1. Shirodkar sling procedure
2. Le Fort operation
3. Manchester operation
4. VH with PFR

Correct answer: 1. Shirodkar sling procedure

Explanation: Ans: a (Shirodkars sling procedure) Ref: Shaw, 13th ed, p. 329Abdominal sling operations have been designed for young women suffering from 2nd or 3rd degree prolapse, who wish to retain their child bearing and menstrual functions.Sling Operations ( Cervicopexy)1. Purandare abdominal sling2. Khanna abdominal sling3. Shirodkar abdominal slingOther surgical procedures for genital prolapse.VH with PFRIndications1. UV prolapse in post menopausal women2. Genital prolapse in perimenopausal age group with DUB. unhealthy cervix or small fibroid3. As an alternative to abdominal hysterectomy or Fothergill operation or LAVHFothergill repair (Manchester operation)Indications1. Women below 40 yrs who have completed their family but desirous of retaining their menstrual function2. Infra vaginal elongation of cervix.Forthergill operation (Manchester operation)- Preliminary D & C- Amputation of cervix- Stum Dorff suture- Plication of Mackenrodt ligament (Fothergill stich)- Anterior colporrhaphy- ColpoperineorrhaphyLe Fort operationOld age with procidentia when the patient is unfit for longer duration of surgery:Vault prolapse managementConservative - Pessary treatmentSurgical Trans vaginal1. Le Fort's operation2. Colpoclesis3. Sacrospinous colpopexyAbdominal1. Vault suspension (Sacral colpopexy)Prevention of Enterocele while doing AH (Culdoplasty)McCallMoschcowitzHalbanTreatment of procidentia:VH with PFR + right sacrospinous colpopexy.